All of the following structures are at risk of damage in anterior cranial fossa fracture, EXCEPT?
1. Ethmoid sinus
2. Facial nerve
3. Olfactory bulb
4. Roof of nose

Correct answer: 2. Facial nerve

Explanation: Fracture of the anterior cranial fossa can damage the roof of the orbit, roof of the nose, frontal, sphenoid and ethmoid sinus. It can result in anosmia, black eye, subconjunctival hemorrhage, bleeding into nose and mouth and CSF leak if meninges is involved. Fracture of the middle cranial fossa is accompanied by leakage of CSF into the mouth or into the middle ear and external acoustic meatus, facial paralysis and deafness due to involvement of VIIth and VIIIth cranial nerves.Fracture of the posterior cranial fossa may damage glossopharyngeal, vagus, accessory or hypoglossal nerves.